A young adult male presented with sudden painless loss of vision. He recovered spontaneously within 3 months Most likely cause of his blindness is -
1. Central serous retinopathy
2. Macular hole
3. Myopic crescent
4. Vitreous haemorrhage

Correct answer: 1. Central serous retinopathy

Explanation: Central serous retinopathy- spontaneous serous detachment of neurosensory retina in the macular region, with or without retinal pigment epithelium detachment. Risk factors - young adult male, type A personality, emotional stress, steroid intake, HTN, pregnancy. Sudden onset of painless loss of vision associated with metamorphopsia. Spontaneous resolution occurs in 80 to 90 % cases. Vision returns to normal or near normal with in 3 to 6 months. Ref khurana page no.288